Misoprostol is an analogue of?
1. PGE,
2. PGE2
3. PGF2a
4. PGI2

Correct answer: 1. PGE,

Explanation: PGE1 REF: Goodman and Gillman's 11TH edition page 626 "Misoprostol (15-deoxy-16-hydroxy-16-methyl-PGE1; CYTOTEC) is a synthetic analog of PGE1"